Non-functional enzymes are all except
1. Alkaline phosphatase
2. Acid phosphatase
3. Lipoprotein lipase
4. Gamma glutamyl transpeptidase

Correct answer: 3. Lipoprotein lipase

Explanation: Non-functional plasma enzymes: > Present in plasma at lower concentration than tissues >Do not have any function in plasma >Mostly synthesized by the liver, skeletal muscle, heart, brain etc >Usually increased in disease conditions > Eg. Creatine kinase, Alanine transaminase etc > Measurement of these enzymes in plasma can be used to assess cell damage and proliferation i.e. diagnosis of disease. Functional plasma enzymes: > P Functional plasma enzymes: > Present in plasma at higher concentration than tissues present in plasma at higher concentration than tissues. They function in plasma. > Mostly synthesized by the liver > Usually decreased in disease conditions > Eg. Clotting enzymes, lipoprotein lipase